Interpretation of dreams by Frued:
1. 1990
2. 1900
3. 1956
4. 1919

Correct answer: 2. 1900

Explanation: B. i.e. 1900